BMI of an overweight female is :
1. 19-24
2. 25-29
3. 30-34
4. less than 19

Correct answer: 2. 25-29

Explanation: BMI Expressed as weight(kg) / height(m^2) Ideal BMI between 20 and 24 BMI > 25 is overweight BMI > 30 is obese BMI > 40 morbidly obese Ref: D.C.DUTTA'S TEXTBOOK OF GYNAECOLOGY; 6TH EDITION; PG NO:549